Which of the following is least likely associated with vascular injury
1. Fracture supracondylar femur
2. Fracture supracondylar humerus
3. Fracture shaft of femur
4. Fracture shift humerus

Correct answer: 4. Fracture shift humerus

Explanation: Vascular injury may be seen in-Fracture supracondylar humerus - Brachial arteryFracture shaft femur (especially distal 3rd ) - Popliteal arteryFracture supracondylar femur - Popliteal artery(Refer: Mohindra's Fundamentals of Orthopedics, 2nd edition, pg no. 75)